Dystocia dystrophia syndrome is seen in
1. Anthropoid
2. Platypelloid pelvis
3. Android pelvis
4. Gynaecoid pelvis

Correct answer: 3. Android pelvis

Explanation: Dystocia dystrophia syndrome
Charecteristic appearence

Short 
Stalky
Subfertile 
Masculine hair distribution
History of delayed menarche
Has android pelvis